Ground glass cells of Hadziyannis are seen in
1. Bone
2. Liver
3. Thyroid
4. Prostate

Correct answer: 2. Liver

Explanation: Ans. is 'b' i.e., Liver